Pain & tenderness over the lateral condyle of humerus with a painful dorsi flexion of the wrist is indicative of -
1. Golfer's Elbow
2. Tennis Elbow
3. Pitcher's Elbow
4. Cricket Elbow

Correct answer: 2. Tennis Elbow

Explanation: Ans. is 'b' i.e., Tennis elbow Pain and tenderness over the lateral condyle of humerus with a painful dorsiflexion of the wrist is indicative of Tennis elbow or lateral epicondylitis.Tennis elbow is one of the overuse or repetitive strain syndromes.These conditions have acquired names derived from the activities in which they were encountered when they were first described.Tennis elbowPain and tenderness over the lateral epicondyle of the elbow {or more accurately the bony insertion of the common extensor tendon).The condition is probably a chronic tendinitis of the extensor carpi radialis brevis and is common in tennis players.Clinical featuresPatient is an active individual of 30-40 years.Pain comes on gradually often after a period of unaccustomed activity involving forceful gripping and wrist extension.ExaminationElbow looks normal and flexion and extension are full and painless.Localized tenderness at or just below the lateral condyle is characteristic.Pain can be produced by passively stretching the extensor radialis brevis.This is done by Extending the elbow, pronating the forearm and then passively flexing the wrist.Active extension of the wrist against resistance (cozen' s test)X - Ray - normalT/T -Many methods are available but benefits of most are unclear.Also knowGolfer's elbow (medial epicondylitis)This is very similar to tennis elbow except that the flexor origin (not the extensor) is affected.Baseball pitcher's elbowThis is caused by the damage to the bones or the soft tissues attachment around the elbow due to repetitive vigorous throwing activities.This is common in baseball players in whom hypertrophy of the lower humerus and incongruity of the joint or loose body and osteoarthritis occurs at the elbow joint.